Haemoglobinuria does not occur in -
1. CuSO4 poisoning
2. Snake bite
3. Mismatched blood transfusion
4. Thalassemia

Correct answer: 4. Thalassemia